Corynebacterum other than diphtheriae carrying toxin:
1. Corynebacterium ulcerans
2. Corynebacterium xerosis
3. Corynebacterium striatum
4. Corynebacterium urealyticum

Correct answer: 1. Corynebacterium ulcerans

Explanation: Ans. is. 'a' i. e. Corynebacterium ulcerans